Ulcer on the penis which bleeds on touch is feature that best in which of the following –
1. Donovanosis
2. Syphilis
3. Herpes genitalis
4. LGV

Correct answer: 1. Donovanosis

Explanation: Ulcers which bleed easily are Donovanosis and Chancroid.